Test for reversible cardiac ischemia-
1. Angiography
2. Thallium scan
3. MUGA
4. Resting Echocardiography

Correct answer: 2. Thallium scan